An elderly female presented with recurrent swelling of the upper eyelid. Histopathological evaluation revealed it to be a chalazion. What would be the histopathological finding?
1. Lipogranuloma
2. Suppurative granuloma
3. Foreign body granuloma
4. Xanthogranuloma

Correct answer: 1. Lipogranuloma

Explanation: Ans. a. Lipogranuloma (Ref: Khurana 4th/367)'In chalazion, pent-up secretions (fatty in nature) act like an irritant and excite non-infective Iipogranulomatous inflammation of the blocked meibomian glands.'Lipogranuomatous inflammation is seen in Chalazion."In chalazion, pent-up secretions (fatty' in nature) act like an irritant and excite non-infective lipogranulomatous inflammation of the blocked meibomian glands. "Inflammation of Glands of LidsHardeolum-Extemum or StyeHardeol um-lnternumChalazion/Meibomian or Tarsal CystSuppurative inflammation of a Zeis-glandQSuppurative inflammation of Meibomian glandQChronic, sterile, lipogranuiomatous inflammation of Meibomian glandQChalazionChalazion also known as meibomian or tarsal cystChronic sterile lipogranulomatous inflammation of meibomian gland containing sebaceous secretionQ.Occurs due to a chronic blockage of mebomian gland orifice and stagnation of sebaceous secretionsQ.A chalazion secondarily infected is referred to as an internal hardeolum.Predisposing Factors:Patient with acne rosacea or seborrhoeic dermatitisEye strain due to muscle imbalance or refractory errorsHabitual rubbing of eyesChronic debilityClinical features:Gradually enlarging painless nodule, usually points on the conjunctival side, rarely on skin side.Occasionally, it may present as red grey nodule on intermarginal strip (marginal chalazion)Course and Complication:Resolve spontaneouslyIncrease in sizeBurst on conjunctival sideSecondary infection leads to formation of internal hardeolumCalcificationMalignant change into meibomian gland carcinoma (indicated by recurrence)Q is seen in elderlyTreatment:In small, soft and recent chalazion conservative treatment (in form of hot fomentation, topical antibiotics, and oral anti-inflammatory )Q followed by intralesional injection of long acting steroidQ (triamcinolone) is usedIncision and curettageQ by a vertical incision in palpebral conjunctiva in non resolving and large chalazionDiathermy is used in marginal chalazionSystemic tetracyclineQ in recurrent chalazion associated with acne rosacea or seborrhoeic dermatitis.